TCA cycle does not take place in
1. Hepatocytes
2. Osteocytes
3. Neuron
4. Erythrocytes

Correct answer: 4. Erythrocytes

Explanation: Erythrocytes (RBC) lack mitochondria (so TCA cycle enzymes) and completely rely on glucose as their metabolic fuel. They metabolize it by anaerobic glycolysis.